Infection that causes acute febrile illness with jaundice and conjunctivitis is
1. Leptospirosis
2. Malaria
3. Pertussis
4. Typhoid

Correct answer: 1. Leptospirosis

Explanation: Ref:- Harrisons T.B of internal medicine 19th edition; pg num:- 1143